Which of the following are adverse effects of use of blood products?
1. Urticaria
2. Rash
3. Tachycardia
4. All of the above

Correct answer: 4. All of the above

Explanation: Ans. D. All of the aboveCommon adverse effects of use of blood and blood products are: Urticaria rash (mild effects). Flushing, rigors, fever, tachycardia (moderately severe).Life threatening effects include Hypotension, restlessness, hemoglobinuria, DIC